The "Mesenteric cyst"
1. Moves parallel to the mysentery
2. Moves perpendicular to the mesentery
3. Is secondary tumour
4. Is fixed and immobile

Correct answer: 2. Moves perpendicular to the mesentery

Explanation: Ans. is 'b' i.e., Moves perpendicular to the mesentery